Beta blocker with peripheral vasodilator action is:
1. Propranolol
2. Carvedilol
3. Atenolol
4. Acebutolol

Correct answer: 2. Carvedilol